Sections 312 to 316 deal with:
1. Kidnapping and abduction
2. Abetment to suicide
3. Causing grievous hurt
4. Causing miscarriage

Correct answer: 4. Causing miscarriage

Explanation: Ans. Causing miscarriage